Which of the following drugs is used to control tachycardia and palpitations in persons with acute symptoms of hyperthyroidism ?
1. Liothyronine
2. Propranolol
3. Methimazole
4. Potassium iodide solution

Correct answer: 2. Propranolol